Not seen in acute iridocyclitis:
1. Small pupil
2. Mucopurulent discharge
3. Ciliary congestion
4. Pain

Correct answer: 2. Mucopurulent discharge

Explanation: Some Clinical Features of Acute Iridocyclitis